Ketamine acts on:
1. NMDA receptor
2. Glycine receptor
3. GABAa receptor
4. Ach receptor

Correct answer: 1. NMDA receptor

Explanation: (A) NMDA receptor > Pharmacologically Ketamine is classified as NMDA receptor antagonist. At high, fully anasthetic level doses ketamine ha:; also been found to bind to opioid p receptors type II in cultured human neuroblastoma cells, without agonist activity. Ketamine interacts with receptors, descending monoaminergic pain pathways and voltage gaenerated calcium channels. It induces dissociative anastehsia and is used as recreational drug